Daily iron requirement of a lOyr old boy is
1. 2 mg
2. 4mg
3. 8 mg
4. 10 mg

Correct answer: 3. 8 mg

Explanation: Ans) c (8mg) Ref Nelson 18th edp210